The "O" sign in a pure Tone Audiogram indicates -
1. Air conduction of right ear
2. Air conduction of left ear
3. Bone conduction of right ear
4. Bone conduction of left ear

Correct answer: 1. Air conduction of right ear